Colostrums has in compared to normal milk ?
1. Decreased K
2. Decreased Na
3. Increased proteins
4. Increased calories

Correct answer: 3. Increased proteins

Explanation: Ans. is 'c' i.e., Increased proteins